A primigravida at 36 weeks gestation and her USG reveals reveals a complete placenta previa. Uterus is relaxed but she starts to bleed heavily. All of the following are appropriate next steps, EXCEPT?
1. Administer intramuscular terbutaline
2. Arrange 4 units of packed red blood cells
3. Administer an intravenous fluid
4. Monitor the urine out output strictly from now

Correct answer: 1. Administer intramuscular terbutaline

Explanation: Bleeding from a placenta previa, at 36weeks needs no conservation as the lungs are mature after 34 weeks and the patient is almost at term. Terbutaline or any other tocolysis is contraindicated in Placenta previa. Also, It is associated with maternal tachycardia and vasodilation. The actively bleeding patient should be resuscitated with intravenous fluids while blood is being crossmatched for possible transfusion. A Foley catheter should be placed because urinary output is a reflection of the patient's volume status.